PESA / MESA is helpful in :
1. Pre testicular azoospermia
2. Testicular azoospermia
3. Post testicular azoospermia
4. Asthenospermia

Correct answer: 3. Post testicular azoospermia

Explanation: Post testicular azoospermia